Ocular bobbing centre is
1. Midbrain
2. Pons
3. Medulla
4. Cortex

Correct answer: 2. Pons

Explanation: Ocular bobbing centre is pons. Characterised by conjugate eye movements, beginning with a fast downward movement followed by slow drift back to midline. Causes : -comatose patient with massive pontine lesion - metabolic encephalopathy.